Pipe stem colon on barium enema is seen with:
1. Crohn's disease
2. Ulcerative colitis
3. Ischemic colitis
4. Amoebic colitis

Correct answer: 2. Ulcerative colitis

Explanation: Ans. B. Ulcerative colitisBarium Enema Findings in Ulcerative Colitis:* Earliest finding on air-contrast Barium enema is loss of and fine mucosal granularity.* Pseudo-polyps which are scattered islands of edematous mucosa in vast expanse of ulcerated mucosa* Double-tracking-tong, longitudinal ulcers in submucosa* Bowel margins appear spicule like from tiny, multiple ulcerations* Collar button ulcers- rom undermining* Shortening of the colon-may be from spasm of longitudinal muscles or from irreversible fibrosis (lead- pipe colon/pipe stem colon)* Loss of haustration on left side of colon.